Osgood schlatter disease is osteochondritis of-
1. Tibial tuberosisty
2. Lunate
3. Calcaneum
4. Navicular

Correct answer: 1. Tibial tuberosisty

Explanation: *Osgood- schaltter disease is osteochondritis of tibial tuberosity (a prominence located on anterior aspect of proximal/upper tibia). Osgood Schlatter Disease * Osgood--Schlatter Disease is an inflammation of the patellar ligament at the tibial tuberosity. * It is characterized by pain and swelling at the tibial tubercle * It is a very common in children aged 10-15 years. * The disease results from repetitive quadriceps contraction through the patellar tendon at its insertion upon the skeletally immature tibial tubercle. Symptoms The most common presenting complaint is anterior knee pain with Swelling. Pain is exacerbated by direct trauma, running, jumping, climbing stairs, and is relieved by rest. Ref: Maheshwari 9th/e p. 318